Pseudounipolar neurons are seen in
1. Celiac ganglion
2. Olfactory
3. Cochlea
4. Spinal dorsal root ganglion

Correct answer: 4. Spinal dorsal root ganglion

Explanation: Pseudounipolar neurons are actually unipolar to begin with but become bipolar functionally and are found in dorsal nerve root ganglia and sensory root ganglia of the cranial nerves. REF.B D Chaurasia's human anatomy,Vol 3,fifth edition,Pg.308